Non-neoplastic lesions simulating bone tumour are all except?
1. Fibrous dysplasia
2. Bone island
3. Bone infarct
4. Hurler syndrome

Correct answer: 4. Hurler syndrome

Explanation: Fibrous dysplasia, bone island and bone infarct are the non-neoplastic conditions which may simulate a primary bone tumour.